The gene for folic acid transporter is located on which chromosome
1. 5
2. 15
3. 21
4. X

Correct answer: 3. 21